Which finding on electron microscopy indicates irreversible cell injury ?
1. Dilatation of endoplasmic reticulum
2. Dissociation of ribosomes from rough endoplasmic reticulum.
3. Flocculent densities in the mitochondria
4. Myelin figures.

Correct answer: 3. Flocculent densities in the mitochondria

Explanation: . Flocculent densities in the mitochondria